Lariche syndrome is due to?
1. Bilateral iliac artery occlusion with sterility
2. Bilateral iliac artery occlusion with impotency
3. Unilateral iliac artery occlusion with sterility
4. Unilateral iliac artery occlusion with impotency

Correct answer: 2. Bilateral iliac artery occlusion with impotency

Explanation: . Due to block in the common iliac artery or aortoiliac segment or bilateral iliac artery may cause pain in the buttocks often associated with impotence is called Leriche's syndrome.pain commonly develops when the muscles are exercising.cause of pain is accumulation of substance p and metabolites. Refer page no 170 of SRB's manual of surgery 5 th edition.